Following is true about iron dextran except ?
1. It is parenteral iron preparation
2. It can be given either iv or im
3. It binds to transferrin
4. It is not excreted

Correct answer: 3. It binds to transferrin

Explanation: Ans. is 'c' i.e., It binds to trnasferrin